Hemiplegia is commonly associated with infarction of the area of distribution of the -
1. Anterior cerebral artery
2. Middle cerebral artery
3. Posterior cerebral artery
4. Anterior communication artery

Correct answer: 2. Middle cerebral artery